Autoimmune hepatitis type I is characterized by presence of all of the following except:
1. ANA
2. SMA
3. Anti-LKM-1
4. none of these

Correct answer: 3. Anti-LKM-1

Explanation: Autoimmune hepatitisis a chronic, progressive hepatitis. Type 1: Type 2: Middle-aged to older individuals Antinuclear (ANA), Anti-smooth muscle actin (SMA). Children and teenagers Anti-liver kidney microsome-1 (anti-LKM-1) antibodies, directed against CYP2D6, and anti liver cytosol-1 (ACL-1) antibodies.